Coronal suture is placed between:
1. Two parietal bones
2. Frontal and parietal bones
3. Occipital and parietal bones
4. Between frontal and occipital bones

Correct answer: 2. Frontal and parietal bones

Explanation: Coronal suture. This is placed between the frontal bone and the two parietal bones. The suture crosses the cranial vault from side to side and runs downwards and forwards.